Lipoprotein A resembles:
1. Plasminogen
2. Plasmin
3. Thrombin
4. Prothrombin

Correct answer: 1. Plasminogen

Explanation: Ans. A. Plasminogen(Ref: Chatterjea and Shinde 8/e page 448)LpaAlmost silmilar to LDL.Apo (a) is attached to apo B100 by disulphide bond.Major site of clearance of Lp(a) is liver.Strongly associated with Atherosclerosis and myocardial infarction.Apo A has significant homology with plasminogenQ.It interferes with activation of plasminogen to plasmin,Hence fibrin clot is not lysed.Susceptible to Intravascular thrombosis.